A city has a population of 10000 with 500 diabetic patients. A new diagnostic test gives true positive result in 350 patients and false positive result in 1900 patients. Which of the following is/are true regarding the test ?a) Prevalence is 5%b) Sensitivity is 70%c) Specificity is 80%d)  Sensitivity is 80%e) Specificity is 70%
1. abc
2. bc
3. acd
4. bcd

Correct answer: 1. abc